Monospot test is used to diagnose:
1. Pernicious anemia
2. Sickle cell anemia
3. Infectious mononucleosis
4. Leukemia

Correct answer: 3. Infectious mononucleosis